In a patient with UTI, CLED (Cystine, Lactose Electrolyte Deficient) Media is preferred over MacConkey media because -
1. It is a differential medium
2. It inhibits swarming of Proteus
3. Promotes growth of Pseudomonas
4. Promotes growth of staph aureus and Candida

Correct answer: 4. Promotes growth of staph aureus and Candida

Explanation: Lactose Electrolyte efficient ( CLED) Media

CLED agar is a non- selective differential plating media for the growth and enumeration of urinary tract microorganisms.

It contains 

Lactose
Casein peptone
Gelatin peptone
Beef extract
L - cysteine
Bromothymol blue
Agar
Omitting sodium chloride (electrolyte deficient) inhibits the proteus swarming and supports the growth of a great majority of bacteria causing urinary tract infections and as used to differentiate and identify them.

Similarities, between CLED Media & MacConkeys Medium 

Both are differential media
Both MacConkey and CLED media differentiates between lactose fermenting & non lactose fermenting
Both CLED MaConkey media inhibits swarming of proteus
Both show greenish colour, matt surface & rough periphery of Pseudomonas colonies
CLED media is preferred over MacConkey's for the culture of coliform and other bacteria from infected urine because -
It has the advantage of supporting the growth of certain Staphylococcus, Streptococci and Candida strain." - Macon & Macgregor, 13th/e